Longest muscle of the body:
1. Sartorius
2. Extraocular muscle
3. External oblique
4. Popliteal muscle

Correct answer: 1. Sartorius

Explanation: • Sartorius muscle is the longest muscle of the body.
• It is also known as tailors muscle (Sartor = tailor)